Promontory seen in the middle ear is-
1. Jugular bulge
2. Basal turn of cochlea
3. Semicircular canal
4. Head of incus

Correct answer: 2. Basal turn of cochlea

Explanation: Promontory is seen in the medial wall of middle ear and is due to basal coil of cochlea.